Least toxic organiophosphorus compound is:
1. DDT
2. Paris green
3. Malathion
4. Parathion

Correct answer: 3. Malathion

Explanation: Ans. is 'c' i.e., Malathion